Penis is curved in downward direction in all types of hypospadias except -
1. Glandular
2. Coronal
3. Penile
4. Perineal

Correct answer: 1. Glandular